A person had an oblique fracture of olecranon which was displaced proximally. The treatment is:
1. Excision and resuturing
2. Tension band wiring
3. Elbow is immobilized by cast
4. Open reduction and external fixation

Correct answer: 2. Tension band wiring

Explanation: - Fracture of the olecranon in adults, when the fragments are separated, open reduction and internal fixation are necessary by Tension Band Wiring. - Tension band wiring is also done in case of fracture of patella and medial malleolus.